The arterial blood supply to the palatine tonsil is derived from branches of the external carotid artery. The principal artery is the tonsillar artery, which is a branch of the:
1. Facial artery
2. Lingual artery
3. Superficial temporal artery
4. Maxillary artery

Correct answer: 1. Facial artery

Explanation: Facial Artery